Headquarter of UNICEF -
1. Geneva, Switzerland
2. New York, USA
3. Rome, Italy
4. Paris

Correct answer: 2. New York, USA

Explanation: Ans. is 'b' i.e., New York, USAHealth agenciesHeadquartersWHO (World Health Organization)Geneva, SwitzerlandUNICEF (United Nations Children Fund)New York, USAUNDP (United Nations Development Programme)New York, USAFAO (Food and Agricultural Organization)Rome, ItalyILO (International Labour Organization)Geneva, SwitzerlandUNESCOParis